True about mumps vaccine ?
1. Killed vaccine
2. Efficacy 95%
3. Only one dose is given
4. Not combined with other vaccines

Correct answer: 2. Efficacy 95%

Explanation: Ans. is 'b' i.e., Efficacy 95% Mumps vaccine Highly effective live attenuated vaccine is now available for the prevention of mumps. Widely-used live attenuated mumps vaccine strains include the Jeryl-Lynn, RIT 4385, Leningrad-3, L-Zagreb and Urabe strains. Live attenuated mumps vaccine strains used only on a limited scale include the Hoshino, Torii and NKM-46 strains. The WHO recommends that the Rubini mumps vaccine strain should not be used in national immunization programmes because of its demonstrated low effectiveness. A single dose (0-5 ml) intramuscularly produces detectable antibodies in 95% of vaccines. The duration of long-term immunity is not known. It is recommended for routine immunization for children over 1 year of age, either alone or in combination with other virus vaccines, e.g. in MMR vaccine or as a quadrivalent vaccine with varicella. A second dose is recommended for children at 4-6 years of age i.e., before starting the school. The current mumps strain (Jeryl Lynm) has the lowest associated incidence of post vaccine aseptic meningitis (from 1 in 150,000 to 1 in 1.8 million). There are no known case of long-term sequelae associated with mumps vaccination.